All of the following statements about Lipoprotein Lipase are true, except
1. Found in adipose tissue
2. Found in myocites
3. Deficiency leads to hyperiacyglycerolemia
4. Does not require CII as cofactor

Correct answer: 4. Does not require CII as cofactor

Explanation: The enzyme lipoprotein lipase (LpL) is located at the endothelial layer of capillaries of adipose tissue, muscles and heart; but not in liver. Apo C-II present in the chylomicrons activates the LpL. The LpL hydrolyses triglycerides present in chylomicrons into fatty acids and glycerol. Muscle or adipose tissue cells take up the liberated fatty acids Lipoprotein lipase deficiency is a genetic disorder in which a person has a defective gene for lipoprotein lipase, which leads to very high triglycerides, which in turn causes stomach pain and deposits of fat under the skin, and which can lead to problems with the pancreas and liver, which in turn can lead to diabetes. Apo-C-II. It activates lipoprotein lipase. REF : DM VASUDEVAN TEXTBOOK OF BIOCHEMISTRY, SIXTH EDITION, PG.NO., 153.